The first cell to migrate into a wound due to chemotaxis to start the process of wound healing is -
1. Lymphocyte
2. Macrophage
3. Platelet
4. Neutrophil

Correct answer: 4. Neutrophil